Anterior choroidal artery is a branch of
1. Anterior cerebral artery
2. Middle cerebral artery
3. Posterior cerebral artery
4. Internal carotid artery

Correct answer: 4. Internal carotid artery

Explanation: After piercing the dura mater forming the roof of the cavernous sinus, the internal carotid artery gives off three large branches. These are the following. (i) Ophthalmic artery (which supplies the orbit), and the (ii) Anterior and Middle cerebral arteries to the brain.It also gives off two smaller branches that take part in supplying the brain: these are the (iv) Posterior communicating artery and the (v) Anterior choroidal artery.Ref: BD Chaurasia; volume 3; 6th edition; Page no: 384